Hypophostemia is a caused by -
1. Primary hypothyroidism
2. Primary hyperparathyroidism
3. Primary hyperthyroidism
4. Hypoparathyroidism

Correct answer: 2. Primary hyperparathyroidism

Explanation: Ref - journal on Hypophosphatemia , England journal of medicine